Best way to diagnose lower small intestinal obstruction
1. Pain abdomen
2. Abdominal distension
3. Profuse vimitting
4. Multiple air gas shadows on X - ray

Correct answer: 4. Multiple air gas shadows on X - ray